The duration of treatment for streptococcal pharyngitis is:
1. 3 days
2. 5 Days
3. 7 days
4. 10 days

Correct answer: 4. 10 days

Explanation: Ans. D. 10 daysStreptococcal sore throat presents as bilateral tonsil hypertrophy and erythema, with characteristic exudates. Treatment is with 10 days course of Penicillin V or a first generation cephalosporin.